Grid" is a device which is used for:
1. Reducing scattered radiation
2. Reducing patients exposure time
3. Reducing the contrast of the X-ray
4. All of the above

Correct answer: 1. Reducing scattered radiation

Explanation: Ans. Reducing scattered radiation